Bart's hydrops fetalis is lethal because
1. Hb Bart's cannot bind oxygen
2. The excess a - globin form insoluble precipitates
3. Hb Bart's cannot release oxygen to fetal tissues
4. Microcytic red cells become trapped in the placental

Correct answer: 3. Hb Bart's cannot release oxygen to fetal tissues

Explanation: Bart hydrops fetalis is a lethal complication of alpha thalassemia trait where oxygen can't release from hemoglobin. Hb Barts is formed of 4 gamma chains. The oxygen affinity is so high that it releases very little oxygen into the fetal tissues. Reference: Ghai essential of pediatrics, eighth edition, p.no:342